Widmark's formulae are used for estimation of
1. Cyanides
2. Alcohol
3. D.D.T.
4. Teeth

Correct answer: 2. Alcohol

Explanation: B i.e. Alcohol